An infant presents with lethargy, frontal bossing and bowing of legs.  X-ray shows widening of epiphysis.  What is the diagnosis?
1. Scurvy
2. Rickets
3. Osteomalacia
4. Osteopetrosis

Correct answer: 2. Rickets

Explanation: (Refer: Nelson’s Textbook of Paediatrics, 19th edition, pg no:199)